Which of the following is catalase positive and novobiocin susceptibility negative -
1. Staph epidermidis
2. Streptococcus pyogenes
3. Staph saprophyticus
4. Streptococcus viridans

Correct answer: 3. Staph saprophyticus

Explanation: Ans. is 'c' i.e., Staph saprophyticus